The nerve which has the longest intracranial course is:
1. Fourth cranial nerve
2. Third cranial nerve
3. Sixth cranial nerve
4. Fifth cranial nerve

Correct answer: 1. Fourth cranial nerve

Explanation: Ans. Fourth cranial nerve